Benedict's test will be positive in the urine after administration of
1. Folic acid
2. Ascorbic acid
3. Pantothetic acid
4. Retinoic acid

Correct answer: 2. Ascorbic acid

Explanation: Ascorbic acid is very common ingredient of many tonics.person taking such tonics will excrete ascorbic acid in urine. It is a powerful reducing agent. This may cause confusion, as Benedict's test is positive in such normal individuals.Ref: DM Vasudevan, 7th edition, page no: 318